Philadelphia (Ph) chromosome
1. Deletion
2. Break DNA
3. Balanced translocation
4. Balanced transcription

Correct answer: 3. Balanced translocation

Explanation: i.e. (Balanced translocation): (414-H17th) (493-94-CMDT-l1)The Philadelphia chromosome (Ph) is derived from a reciprocal translocation between chromosome 9 and 22 with the break point joining the sequence of ABL oncogene with the BCR gene. The fusion of these DNA sequences allows the generation of an entirely noval fusion protein with modified functionReciprocal translocation generates Ph chromosomes Fusion of BCR and ABL gene sequences Chimeric BCR-ABL *protein-- The first reproducible chromosome abnormality detected in human malignancy was the Philadelphia chromosomes detected in CMLOther example - Translocations of MYC in Burkitt's lymphoma